A 3 month old child has moderate fever and non productive cough and mild dyspnea. After course of mild antibiotic the condition of the child improved transiently but he again develops high fever, productive cough and increased respiratory distress. Chest X ray shows hyperluscency and PFT shows obstructive pattern. Most probable diagnosis is
1. Alveolar microlithiasis
2. Post viral syndrome
3. >Follicular bronchitis
4. >Bronchiolitis obliterans

Correct answer: 4. >Bronchiolitis obliterans

Explanation: Bronchiolitis obliterans Repeat from Nov 08 Q no.130